Epidermal growth factor is required for:
1. Epithelium proliferation and tooth eruption
2. Angiogenesis
3. Collagen formation
4. Fibroblast formation

Correct answer: 1. Epithelium proliferation and tooth eruption